Read the following statements: Statement 1: Genital trauma is the most common cause of PPH. Statement 2: Vulva is the most common site for pelvic hematoma. Statement 3: Most common artery to form vulvar hematoma is uterine artery. Statement 4: Hematomas <5 cm should be managed surgically Which of the above sentences are false?
1. Statement 1,3, 4
2. Statement 1,2,4
3. Statement 2,3,4
4. Statement 1,2,3

Correct answer: 1. Statement 1,3, 4

Explanation: Statement 1: Genital tract trauma is the most common cause of PPH: False. Genital tract trauma is the 2nd most common cause of PPH. The most common cause of atony. Statement 2: Vulva is the most common site for pelvic hematoma:: True Statement 3: The most common artery to form vulvar hematoma is uterine artery: False. The most common artery to form vulvar hematoma is pudendal artery. Statement 4: Hematoma <5 cm Should be managed surgically. False: Small hematomas <5cm are managed conservatively using cold compress and analgesics. Ref: Williams Obstetrics 24th edition Pgno: 790